Of the different epidemiological study designs available to test the association between risk factor and disease, the best design is of-
1. Case-control study
2. Ecological study
3. Cohort study
4. Cross-sectional study

Correct answer: 3. Cohort study

Explanation: - Cohort study gives the strongest evidence of association. - Strength of association in cohort study is calculated by: Relative risk - Best indicator as it has lower biases as compared to other studies. Attributable risk. Population attributable risk.